Which of the following is pure control mode of ventilation
1. Pressure support ventilation
2. Synchronised intermittent minute ventilation
3. Pressure control ventilation
4. Continuous positive airway pressure

Correct answer: 3. Pressure control ventilation

Explanation: Modes of ventilation Control mode ventilation (CMV) Pressure control ventilation (PCV) Pure control modes (all breath is supplied by Ventilator, breath is not taken by the patient) Synchronized intermittent minute ventilation (SIMV) breath can be supplied by the Ventilator and can be taken by the patient Pressure support ventilation (PSV) Continuous positive airway pressure (CPAP) Pure spontaneous mode (in which all the breath has to be taken by the patient) Pressure control ventilation: * Lung protective mode of ventilation * Mode of choice in ARDS and pediatric patients* We limit the upper limit of intra alveolar pressure * We titrate the limit of intra alveolar pressure at which just adequate tidal volume is achieved